In acute inflammation due to the retraction of endothelial cell cytoskeleton, which of the following results -
1. Delayed transient increase in permeability
2. Early transient increase in permeability
3. Delayed prolonged increase in permeability
4. Early permanent increase in permeability

Correct answer: 3. Delayed prolonged increase in permeability

Explanation: Ans. is 'c' i.e., Delayed prolonged increase in permeability